Ureteric bud arises from:
1. Mesonephric duct
2. Paramesonephric duct
3. Pronephric duct
4. None of the above

Correct answer: 1. Mesonephric duct

Explanation: Ans. A. mesonephric ductAt the fifth week of development, the ureteric bud arises as a diverticulum from the mesonephric (Wolffian) duct. The bud grows laterally and invades the center of the metanephrogenic blastema, the primordial renal tissue. The meeting of these two tissues causes changes in the bud and the metanephros. The metanephrogenic blastema forms glomeruli, proximal tubules and distal tubules. The ureteric bud divides and branches forming the ureter, renal pelvis, calyces, and collecting tubules